Which one of the following provides haemodynamic stability and prolong survival in congestive heart failure
1. Lisinopril
2. Furosemide
3. Digoxin
4. Milrinone

Correct answer: 1. Lisinopril

Explanation: Lisinopril is a medication of the angiotensin-converting enzyme (ACE) inhibitor class used to treat high blood pressure, heart failure, and after heart attacks. For high blood pressure it is usually a first line treatment, although in black people calcium-channel blockers or thiazide diuretics work better. It is also used to prevent kidney problems in people with diabetes. Lisinopril is taken by mouth.Full effect may take up to four weeks to occur Refer kDT 6/e p486